Inclusion body is seen in -
1. Rickettsiae
2. Chlamydia
3. Mycoplasma
4. H. Pylori

Correct answer: 2. Chlamydia